Body clock is maintained by -
1. Suprachiasmatic nucleus
2. Supraoptic nucleus
3. Ventrolateral nucleus
4. Thalamus

Correct answer: 1. Suprachiasmatic nucleus

Explanation: Ans. is 'a' i.e., Suprachiasmatic nucleus o A person's circadian rhythm is an internal biological clock that regulates a variety of biological processes according to an approximate 24-hour periods. Several body functions show a circadian (24 hour) rhythmo These functions include feeding, drinking, locomotor activity, sleep, corticosteroid secretion, body temperature and melatonin secretion by the pineal. Most of these functions are regulated by the hypothalamus.o Suprachiasmatic nucleus of the hypothalamus is believed to contain the "biological clock", which regulates the circadian rhythms according to the light dark cycles.